Which of the following antipsychotic isn't available as depot preparation for the treatment of psychosis?
1. Aripiprazole
2. Olanzapine
3. Clozapine
4. Haloperidol

Correct answer: 3. Clozapine

Explanation: Clozapine isn't available as depot of long-acting muscular injection. clozapine is a drug that is used for trreatment of TREATMENT RESISTANT SCHIZIOPHRENIA patients the main adverse effects of clozapine was AGRANULOCYTOSIS, MYOCARDITIS, SIALORRHEA, SEIZURES, PARALYTIC ILEUS Ref: Essentials of postgraduate psychiatry By JN Vyas 1st ed Pg: 410-412